Labourer's nerve is
1. Median
2. Ulnar
3. Radial
4. Sciatic

Correct answer: 1. Median

Explanation: (A) Median # MEDIAN NERVE controls the coarse movements of the hands, as it supplies most of the long muscles of the front of the forearm and therefore called the 'labourer's nerve'.EPONYMOUS NAMENERVE* Vidian nerveNerve of Pterigoid canal* Musician's nerveUlnar nerve* Labourer's nerveMedian nerve* Arnold's nerve or Alderman's N.Auricular branch of vagus* Nerve of Bell or Long thoracic N.Nerve to serratus anterior (Bell's palsy = LMN paralysis of Facial Nerve)* Nerve ErigentesParasympathetic outflow from Sacral plexus - S2,3,4* Nerve of KuntzGrey ramus running upwards from 2nd thoracic ganglion to 1st thoracic nerve* Jacobson's nerveTympanic branch of Glossopharyngeal nerve* Hering's nerveNerve transmitting impulses from carotid bodies to glossopharyngeal nerve* Thickest cranial nerveTrigeminal nerve* Thickest cutaneous nerveGreater occipital nerve